Function of infliximab used in Crohn's is
1. Inhibit TNF-a
2. Inhibit IL-2
3. EGFR inhibitor
4. Inhibit VEGF

Correct answer: 1. Inhibit TNF-a

Explanation: Infliximab, a chimeric IgG1 antibody against TNF-a, is approved for treatment of moderately to severely active UC.Infliximab is also effective in CD patients with refractory perianal and enterocutaneous fistulasAdalimumab and certolizumab, golimumab are other Anti-TNF therapies approved for IBDInfliximab is also approved for psoriasis, psoriatic arthritis, ankylosing spondylitis, and rheumatoid arthritisRef: Harrison 19e pg: 1961